Non metal which conducts electricity
1. Graphite
2. Carbon
3. Acrylic
4. Porcelain

Correct answer: 1. Graphite